Which of the following is not a benign tumor?
1. Lipoma
2. Leiomyoma
3. Hepatoma
4. Chondroma

Correct answer: 3. Hepatoma

Explanation: Ans. c (Hepatoma). (Ref. Robbin, Pathology, 7th ed., 273)BENIGN TUMORS# Fibroma,Lipoma,Chondroma# Osteoma,HemangiomaMeningioma# Leiomyoma,Rhabdomyoma,Squamous cell papilloma# Liver cell adenoma,AdenomaPapilloma# CystadenomaBronchial adenomaRenal tubular adenomaEducational Points:# An ectopic rest of normal tissue--choristoma.Q# Aberrant differentiation may produce mass of disorganized but mature specialized cells or tissue indigenous to particular site--Hamartoma.# Hepatoma is malignant tumor (A misnomer).